The time interval between diagnosis by early detection and diagnosis by other means is -
1. Incubation period
2. Lead time
3. Serial interval
4. Latent period

Correct answer: 2. Lead time

Explanation: .lead time is the advantage gained by screening.that is the period between diagnosis by early detection and diagnosis by other means.the benefits are alwaysd evaluated in terms of outcomes. ref:park's textbook ,22 nd edition,pg no 128